Attacks of flushing and cyanosis occur in which type of ovarian tumors:
1. Struma ovarii
2. Krukenberg's tumor
3. Arrhenoblastoma
4. Carcinoid tumors of ovary

Correct answer: 4. Carcinoid tumors of ovary

Explanation: Carcinoid tumour of Ovary:
• It is sometimes primary and sometimes metastatic.
• Also called Argentaffinoma.
• Occurs as a malignant change in benign dermoid cyst.
• Presence of solid yellow tumour with histological property of reducing silver salts derived from specialized Kulchitsky cells of intestine.
• It produced 5 - HT which causes attacks of flushing and cyanosis.